All statements regarding Mode is true except:
1. Some data has no mode
2. More than one mode possible in some data
3. Cannot be calculated for any type of data
4. Can be used for nominal data

Correct answer: 3. Cannot be calculated for any type of data

Explanation: Discussing options one by one: Option Example Remark a) Some data has no mode 1,2,3,4,5,6,7 No mode b) More than one mode possible in some data 1,2,2,3,4,4,5 Two modes (2,4) c) Cannot be calculated for any type of data Wrong statement Can be used for qualitative and quantitative data d) Can be used for nominal data Ram, Ram ,Sham,Ghanshyam,Prabhuram (Nominal) Mode = Ram